Best method of sterilising disposable syringes is -
1. Hot air oven
2. UV rays
3. Boiling
4. Gamma rays

Correct answer: 4. Gamma rays

Explanation: Ans. is 'd' i.e., Gamma rays Ionizing irradiations are used for sterilization of single-use disposable items such as needles and syringes, latex catheters and surgical gloves. Ethylene oxide is also used for disposable plastic syringes.